Metyrosin is used in ?
1. Acromegaly
2. Cushing syndrome
3. Addison's disease
4. Pheochromocytoma

Correct answer: 4. Pheochromocytoma

Explanation: Ans: D PheochromocytomaRef: KDT 7/e p. 128, 129; Katzung rlth/e p. g4lRate limiting step (tyrosine hydrorylation) in synthesis of epinephrine is inhibited by metyrosine.